Which of the following drug can be used for prophylaxis of meningococcal meningitis?
1. Chloramphenicol
2. Erythromycin
3. Tetracycline
4. Ciprofloxacin

Correct answer: 4. Ciprofloxacin

Explanation: MENINGOCOCCAL MENINGITIS DOC for empirical treatment: Ceftriaxone DOC for definitive treatment: Penicillin G DOC for mass prophylaxis: Ciprofloxacin Most effective drug for prophylaxis: Ceftriaxone Other drugs for prophylaxis: Rifampicin, Minocycline